Which one of the following test is used to detect malingering
1. Stenger's test
2. Buinge's test
3. Weber's test
4. Rinne's test

Correct answer: 1. Stenger's test

Explanation: Stenger test- Two tuning forks of equal frequency, strike and kept at a distance from each ear. Tuning fork in the side of feigned deafness is brought closer keeping the tuning fork on the normal side at the same distance. The patient is blindfolded in this test. The patient denies hearing anything even though tuning fork on a normal side is where it could be heard earlier. A person with true deafness should continue to hear on the normal side. (Ref: Diseases of EAR, NOSE AND THROAT by PL DHINGRA - 6th Edition)